Which of the following is not due to complement deficiency?
1. SLE
2. PNH
3. Glomerulonephritis
4. Neisseria infection

Correct answer: 2. PNH

Explanation: PNH is due to complement regulatory protein deficiency (DAF and CD59).